Most permeable to pure phospholipid bilayer:-
1. O2
2. Na+
3. H2O
4. Cl-

Correct answer: 1. O2

Explanation: Movement of hydrophobic molecules/Lipid soluble substances occurs by Simple diffusion Movement of H2O occurs by osmosis Movement of Polar molecules/ions occurs through Channels